Most common muscle damaged in rotator cuff is
1. Supraspinatus
2. Infraspinatus
3. Subsacapularis
4. Teres minor

Correct answer: 1. Supraspinatus

Explanation: Refer Williams Vil 1.p 330 The tendons of the rotator cuff, not the muscle are most commonly involved and of the four, The supraspinatus us effected most frequently as it passes below the acromian